Lethal midline granuloma arises from-
1. T-cell
2. B-cells
3. NK cells
4. Macrophages

Correct answer: 3. NK cells

Explanation: Lethal midline granuloma is a condition affecting the nose and palate. The preferred modern term is ulcerating midline lymphoma, as it is by no means always lethal when treated in time. It has been suggested that the term is confusing and obsolete. It is sometimes considered to be part of a spectrum with granulomatosis with polyangiitis. It is considered a form of Extranodal NK-T-cell lymphoma